The dangerous layer of the scalp is:
1. Connective tissue.
2. Loose areolar tissue.
3. Aponeurosis.
4. Pericranium.

Correct answer: 2. Loose areolar tissue.